The process of exfoliation of primary teeth is between
1. Seventh and eight years
2. Seventh and ninth years
3. Seventh and tenth years
4. Seventh and twelfth years

Correct answer: 4. Seventh and twelfth years